Structure that does not cross the midline is:
1. Left gonadal vein
2. Left renal vein
3. Left branchiocephalic vein
4. Hemiazygos vein

Correct answer: 1. Left gonadal vein

Explanation: A i.e. Left gonadal vein- Left gonadal vein, left suprarenal vein & right renal vein do not cross mid line.Hemiazygous vein cross midline at T8 vertebral level to join azygous vein.Left renal vein is longer than right renal vein and cross midline anterior to aorta to drain into IVC. However, left gonadal & supra renal veins drain into left renal vein (almost vertically) without crossing midline